Which of the following clinical laboratory observations is suggestive of Hartnup disease?
1. Burnt sugar smell in urine
2. High plasma phenylalanine levels
3. Extremely high levels of citrulline in urine
4. High fecal levels of tryptophan and indole derivatives

Correct answer: 4. High fecal levels of tryptophan and indole derivatives

Explanation: High fecal levels of tryptophan and indole derivatives Hartnup disease is autosomal recessive metabolic disorder also known as pellagra like dermatosis. This affect the absorption of nonpolar( neutral ) amino acids specially tryptophan. So there is no absorption of tryptophan.